Which among the following is/are absolute indication of extraction of tooth related to fracture line:
1. Tooth interfere with reduction.
2. Tooth related to pericoronitis.
3. Tooth is also fractured.
4. All of the above.

Correct answer: 4. All of the above.